Maximum chances of post partum Hemorrhage are seen in :
1. Multiparity
2. Primipara
3. Abnormal lie
4. All

Correct answer: 1. Multiparity

Explanation: Multiparity